Which of the following statement is true among the following:
1. Clinically efficacy is more important than potency.
2. Clinically Potency is more important the efficacy.
3. Both have equal efficacy.
4. None.

Correct answer: 1. Clinically efficacy is more important than potency.